What happens in hypertrophy?
1. Increase in cell number
2. Increase in cell size
3. Decrease in cell number
4. Decrease in cell size

Correct answer: 2. Increase in cell size

Explanation: Hypertrophy is an increase in the size of cells resulting in an increase in the size of the organ.Hyperplasia is characterized by an increase in cell number because of the proliferation of differentiated cells and replacement by tissue stem cells.Shrinkage in the size of the cell by the loss of cell substance is known as atrophy.Metaplasia is a reversible change in which one adult cell type (epithelial or mesenchymal) is replaced by another adult cell type( Robbins Basic Pathology, 9th edition, page 3 )